Which of the following is the chief sensosry nerve of the face
1. Facial nerve
2. Trigeminal nerve
3. Glossopharyngeal nerve
4. Mandibular nerve

Correct answer: 2. Trigeminal nerve

Explanation: The trigeminal nerve through its three branches is the chief sensory nerve of the face.